Transverse mesocolon contains which artery?
1. Left colic artery
2. Right colic artery
3. Middle colic artery
4. Ileocolic artery

Correct answer: 3. Middle colic artery

Explanation: Transverse mesocolon contains middle colic artery
Transverse Mesocolon
Peritoneal fold suspending transverse colon from posterior abdominal wall
Attachment of root of transverse mesocolon: anterior surface of head & anterior border of body of pancreas
Contents : middle colic vessels, ascending branches of the right and leftcolic vessels; nerves & lymphatic’s of transverse colon